NSAIDs attenuate action of which of the following diuretics:
1. Carbonic anhydrase inhibitors
2. Loop diuretics
3. Thiazide diuretics
4. Spironolactone

Correct answer: 2. Loop diuretics

Explanation: Loop diuretics increase prostaglandin production by stimulating Cycloxygenase enzyme (COX) and NSAIDs attenuate the diuretic action of these drugs.